Carcinoembryonic antigens (CEA) is except
1. Lung cancer
2. Breast cancer
3. Colon cancer
4. Osteogenic sarcoma

Correct answer: 4. Osteogenic sarcoma

Explanation: Ans. is 'd' i.e. Osteogenic sarcoma